At birth eyes are
1. Emmetropic
2. Myopic
3. Hypermetropic
4. Presbiopic

Correct answer: 3. Hypermetropic

Explanation: At birth ayes are Hypermetropic with extra power of +2D to +3D.Emmetropia is achieved at 7 years of age.